Delusional belief that one is dead called
1. Erotomania
2. Cotard delusion
3. Delusion of self reproach
4. Delusion of persecution

Correct answer: 2. Cotard delusion

Explanation: Cotard delusion delusion that he is dead. Ref: FORENSIC MEDICINE AND TOXICOLOGY Dr PC IGNATIUS THIRD EDITION PAGE 359